Which of the following occurs in Charcot's triad -a) Pain abdomenb) Fever and chillsc) Jaundiced) Shocke) Pruritus
1. ab
2. bc
3. abc
4. bcd

Correct answer: 3. abc

Explanation: Charcot's triad comprises of:        
Pain abdomen
Fever with Chills
Presence of the triad indicates cholangitis
Note: Reynolds's pentad → Charcot's triad + Septic Shock + Mental status changes